All of the following statements regarding the spinal cord are true, Except:
1. Central canal lies in the white matter
2. Efferents leave from the anterior horn
3. Spinal cord ends at the lower border of L1 in adults
4. Denticulate ligaments suspend spinal medulla in the subarachnoid space

Correct answer: 1. Central canal lies in the white matter

Explanation: A i.e. Central canal lies in grey matter